Which of the following is an anticoagulant drug ?
1. Heparin
2. Ximelagatran
3. Fondaparinux
4. All of these

Correct answer: 4. All of these